Usually healthy human volunteers are taken in:
1. Phase I of clinical trial
2. Phase II of clinical trial
3. Phase III of clinical trial
4. Phase IV of clinical trial

Correct answer: 1. Phase I of clinical trial